Pain & tenderness over the lateral condyle of humerus with a painful dorsiflexion of the wrist is indicative of -
1. Golfer's Elbow
2. Tennis Elbow
3. Pitcher's Elbow
4. Cricket Elbow

Correct answer: 2. Tennis Elbow

Explanation: TENNIS ELBOW (LATERAL EPICONDALGIA) Pain and tenderness over the lateral epicondyle of the elbow (or, more accurately, the bony insertion of the common extensor tendon) is a common complaint among tennis players - but even more common in non-players who perform similar activities involving forceful repetitive wrist extension. It is the extensor carpi radialis tendon (which automatically extends the wrist when gripping) which is pathological in tennis elbow . Like supraspinatus tendinitis, it may result in small tears, fibrocartilaginous metaplasia, microscopic calcification and a painful vascular reaction in the tendon fibres close to the lateral epicondyle. Reference- Apley's system of orthopaedics 9th edn-pg no 397